Osteoporosis is caused by all, except -
1. Corticosteroid
2. Oestradiol
3. Methotrexate
4. Chronic heparin therapy

Correct answer: 2. Oestradiol

Explanation: Oestradiol is used to prevent osteoporosis.
Other causes of osteoporosis have been discussed before.